Metabolic encephalopathy presents with :
1. Broca's aphasia
2. Anomie aphasia
3. Transcortical sensory aphasic
4. Transcortical motor aphasia

Correct answer: 2. Anomie aphasia

Explanation: Answer is B (Anomie aphasia): 'Anomie aphasia is the single most common language disturbance seen in head trauma, metabolic encephalopathy and Alzheimer's disease' - Harrison, Typical Causes of Burst Supression Pattern on EEG Anoxic Encephalopathy or Hypoxic-Ischemic Encephalopathy Toxic CNS drugs (High doses of barbiturates etc; High levels of sedation) Anesthesia (Deep Anesthesia) Hypothermia Early infantile Epileptic Encephalopathy called Ohtahora's syndrome is typically associated with Burst -- Supression pattern on EEG.